Which is the first drug to be started in Sheehan's syndrome?
1. Gonadotropins
2. Estrogen
3. Thyroxine
4. Corticosteroids

Correct answer: 4. Corticosteroids

Explanation: Treatment of young women with hypopituitarism due to Sheehan syndrome usually includes replacement of Hydrocortisone first and then replacement of Thyroid hormone and Estrogen with or without Progesterone. Hydrocortisone is replaced first because thyroxine therapy can exacerbate glucocorticoid deficiency and theoretically induce an adrenal crisis. The standard dose of hydrocortisone is 20 mg/d for an adult (15 mg every morning and 5 mg every evening). Replacement of growth hormone is necessary in children with hypopituitarism but is controversial in adults.